Which of the following is the commonest nerve injury due to the effect of same position for a long time during general anaesthesia?
1. Common peroneal nerve
2. Brachial plexus injuries
3. Ulnar neuropathies
4. None of the above

Correct answer: 3. Ulnar neuropathies

Explanation: Nerve injuries may occur as a complication of various positions under anesthesia. Ulnar neuropathies are the most common. Risk factors include male gender, extremes of body weight, and prolonged hospitalization. The common peroneal nerve may be injured by pressure at the fibular head in the lithotomy position (feet in stirrups). Brachial plexus injuries may occur from sternotomy and retraction of the chest wall during coronary bypass surgery. Compartment syndrome in the extremities may occur if tissue swelling causes obstruction of venous and lymphatic drainage, with failure of capillary perfusion and cell death. Ref: Doyle A. (2012). Chapter 48. Anesthesia: Choices and Complications. In J. Matloff, D.D. Dressler, D.J. Brotman, J.S. Ginsberg (Eds), Principles and Practice of Hospital Medicine.